Chassarmoir surgery is done is case of:
1. Uterine inversion
2. VVF repair
3. Ureterovesical fistula repair
4. Retroverted uterus

Correct answer: 2. VVF repair